Prognostic stage groups in carcinoma breast include all except
1. Tumour size
2. Grade
3. HER-2 status
4. Age

Correct answer: 4. Age

Explanation: Prognostic stage groups include TNM plus grading, and status of biomarkers HER-2, ER, and PR Ref: AJCC 8th edition